Fluorescamine is used to detect
1. Amino acids
2. Fatty acids
3. Glucose
4. Fructose

Correct answer: 1. Amino acids

Explanation: Fluorescence detectors are generally more sensitive than photometric ones. In addition, precolumn or postcolumn reactors have been used to chemically tag a compound with a fluorescent label for subsequent detection. For example, amino acids and other primary amines often are labeled with a dansyl or fluorescamine tag, followed by HPLC separation and fluorometric detection. Ref: Tietz Textbook of Clinical Chemistry and Molecular Diagnostics, 5E Page no. 319 Topic : Fluorometers.